In which of the following genital tract malignancy, the risk of metastasis to ovary is the least?
1. Carcinoma cervix
2. Carcinoma endometrium
3. Carcinoma fallopian tube
4. Uterine sarcoma

Correct answer: 1. Carcinoma cervix

Explanation: Carcinoma cervix is associated with minimum risk of metastasis to the ovary amongst the options provided. Ovarian metastasis from cervical squamous cell carcinoma is rare (0-0.5 %). Ref: The Ovary By P. C. K. Leung, E. Y. Adashi, 2004, Page 567.